The commonest malignant tumor of the orbit in the 1st decade is –
1. Retinoblastoma
2. Neuroblastoma
3. Rhabdomyosarcoma
4. Chloroma

Correct answer: 3. Rhabdomyosarcoma

Explanation: Most common malignant orbital tumor in children is rhabdomyosarcoma. It is seen in first decade of life.